Not a feature of Anopheles is
1. Spotted wings
2. Siphon tube seen in larvae
3. Boat shaped eggs
4. Rest at an angle, inclined to the surface

Correct answer: 2. Siphon tube seen in larvae

Explanation: Description: Anopheles mosquito: Causes malaria and filaria Breeding habitat: Clean water Eggs laid singly with boat-shaped lateral floats Larvae have no Siphon tube; rest parallel to the undersurface of water Pupae have a broad and short siphon tube Adults are inclined at an angle to the surface and with spotted wings Can fly 3-5 km Sophisticated mosquitoes Park's Textbook of Preventive and Social Medicine, 25th edition, Page No. 831